Systemic fungal infections can be caused by the followinga) Cryptococcus neoformansb) Histoplasma capsulatumc) Paracoccidioides brasiliensisd) Naegleria fowlerie) Isospora belli
1. ab
2. bc
3. acd
4. abc

Correct answer: 4. abc